A 16-year-old girl is brought to the physician because of a 1-month history of visual disturbances. She has been walking into doors and unable to see people unless they stand directly in front of her. Her menses have been irregular and have disappeared over the past few months. Physical shows visual deficits in both eyes in temporal areas. Nasal visual fields are within normal limits. Cranial MPh shows a mass inferior to the hypothalamus. 
Which of the following hormones do the cells found n the mass most likely produce?
1. Oxytocin
2. Somatostatin
3. Thyroid releasing hormone
4. Thyroid stimulating hormone

Correct answer: 4. Thyroid stimulating hormone